Ratio of nasal width to nasal height is:
1. 60%
2. 40%
3. 70%
4. 65%

Correct answer: 3. 70%

Explanation: Nasal height (Nasal to subnasal) is approximately 45% of lower anterior face height.
Nasal width should be approximately 1/3rd of intercanthal distance. The ratio of nasal width to nasal length is 70%. 
This means the width is approximately 70% of the length of nose.